Which neoplasm causes pure red cell aplasia?
1. Thymus
2. Breast
3. Hepatocellular
4. Bronchogenic

Correct answer: 1. Thymus

Explanation: Ans. is 'a' i.e., Thymus* Pure red cell aplasia (PRCA) is an uncommon disorder in which maturation arrest occurs in the formation of erythrocytes. Erythroblasts are virtually absent in bone marrow; however, white blood cell and platelet production are normalCauses of PRCA include:* Idiopathic* Autoimmune disease such as SLE* Lymphoproliferative. Association of pure red cell aplasia with T-cell large granular lymphocyte leukemia is well recognized, especially in China* Thymoma* Viral infections such as HIV, herpes, parvovirus B19 (Fifth disease), or hepatitis* Drugs such as mycophenolic acid or erythropoietin* Congenital (Diamond-Blackfan anemia)